In case of occlusion occurs at the 2nd part of Axillary artery, blood flow is maintained by collateral/ anastomosis between:
1. Anterior and posterior circumflex humoral artery
2. Suprascapular and posterior circumflex artery
3. Deep branch of the transverse cervical artery and Subscapular artery
4. Anterior circumflex artery and subscapular artery

Correct answer: 3. Deep branch of the transverse cervical artery and Subscapular artery

Explanation: C i.e., Deep branch of the transverse cervical artery and subscapular arteryAxillary artery is a continuation of subclavian artery from lateral border of 1st rib to lateral border of teres major muscle(2 after which it becomes brachial artery. Because of extensive collateral circulation between thyrocervical trunk of subclavian artery and subscapular artery, which is branch distal axillary artery. Ligation, thrombosis or trauma of axillary artery anywhere between origins of thyrocervical trunk & sub scapular arteries will not lead to compromise of flow to distal arm.